Cyanide inhibits
1. Pyrurate kinase
2. Cytochrome C oxidase
3. Enolase
4. None

Correct answer: 2. Cytochrome C oxidase

Explanation: Site-III (Complex IV) * Cyanide * H2S * Azide transfer of electrons to molecular O2 * Co (Carbon monoxide): Inhibits Cyt. oxidase by combining with O2 binding site. It can be reversed by illumination with light.Ref: MN Chatterjea Textbook of Medical Biochemistry, 8th edition, page no: 143